Pyruvate can be converted directly into all the following except
1. Phosphoenol pyruvate
2. Alanine
3. Acetyl CoA
4. Lactate

Correct answer: 1. Phosphoenol pyruvate

Explanation: Phosphoenolpyruvate 

While phosphoenol pyruvate can be directly converted to pyruvate (Glycolysis).
Pyruvate cannot be directly converted to phosphoenolpyruvate (Gluconeogenesis).
Conversion of phosphoenolpyruvate to pyruvate is an irreversible step in glycolysis, and is one of the barriers, in simple reversal of glycolysis.
To form phosphoenolpyruvate from pyruvate (Gluconeogenesis) pyruvate has to be first converted to oxaloacetate which is then converted to phosphoenolpyruvate by enzyme phosphoenolpyruvate carboxykinase.
Pyruvate can directly be converted to - Oxaloacetate, acetyl CoA, lactate, malate, alanine, and in yeasts and some bacteria to ethanol (by alcohol fermentation).